Topical steroids are not recommended in:
1. Post surgery for antrochoanal polyps
2. Post surgery for ethmoidal polyps
3. Post surgery for chronic rhinosinusitis
4. Post surgery for allergic fungal sinusitis

Correct answer: 1. Post surgery for antrochoanal polyps

Explanation: Topical steroids are not recommended in post surgery for antrochoonol polyps. For antrochoanal polyps, cause is infection and not the allergy. Antrochoanal polyps are single, unilateral and rarely recur. Topical steroids are rarely recommended.